Janani Suraksha Yojana includes?
1. Tetanus immunization
2. Institutional deliveries
3. Iron supplementation
4. Abortions

Correct answer: 2. Institutional deliveries

Explanation: ANSWER: (B) Institutional deliveriesREF: Park 22nd ed Page 419Repeat Community Medicine December 2011